Organism responsible for catheter predisposed UTI is:
1. Pseudomonas
2. E. coli
3. Proteus
4. All of the above

Correct answer: 4. All of the above

Explanation: Ans. D: All of the above Commensal colonic gram-negative aerobic bacteria cause most bacterial UTIs. In relatively normal tracts, strains of E. coli with specific attachment factors for transitional epithelium of the bladder and ureters are the most frequent causes. The remaining gram-negative urinary pathogens are other enterobacteria, especially Klebsiella, Proteus mirabilis, and Pseudomonas aeruginosa. Enterococci (group D streptococci) and coagulase-negative staphylococci (eg, Staphylococcus saprophyticus) are the most frequently implicated gram-positive organisms.